Lithium is not used in the treatment of which of the following?
1. Major depression
2. Vascular headache
3. Neutropenia
4. Generalized anxiety disorder

Correct answer: 4. Generalized anxiety disorder